Banana shaped left ventricle is seen in
1. HOCM
2. DCM
3. RCM
4. Takotsubo cardiomyopathy

Correct answer: 1. HOCM

Explanation: Ans. is 'a' i.e., HOCM Spherical ventricle Dilated cardiomyopathy Apical ballooning Stress cardiomyopathy/Tako-Tsubo Spade-shaped ventricle Apical hypertrophic cardiomyopathy Distortion of ventricle Myocardial infarctions/aneurysms/remodeling Banana-shaped ventricle Hypertrophic cardiomyopathy